In heat stroke, skin will be:
1. Warm
2. Normal
3. Cold
4. Cyanosis

Correct answer: 1. Warm

Explanation: Ans. A i.e. Warm Heat stroke presents with a hyperthermia of greater than 40.6 degC (105.1 degF) in combination with confusion and a lack of sweating.